Virus grows in cell culture & produces which of the following effects?
1. Inhibition of cell metabolism
2. Immunofluroscence
3. Cytopathic effect
4. All of the above

Correct answer: 4. All of the above

Explanation: Ans. d (All of the above). (Textbook of Microbiology by Ananthanarayan, 6th/406)VIRUS GROWTH IN CELL CULTURE CAN BE DETECTED BY FOLLOWING METHODS# Cytopathic effect:Cytopathogenic viruses cause morphological changes in cultured cells in which they grow.- Rapid CPE with generation of cells & degeneration of entire cell sheet - Enteroviruses- Syncytium formation - Measles virus- Discrete focal degeneration - Herpes virus- Large granular changes reassembly bunch of grapes - Adenovirus- Cytoplasmic vacuolation - SV4# Metabolic inhibition# Hemadsorption# Interference# Transformation# Immunofluroscence